At 1:00 pm a mother got a phone call from the school to pick her son who was a student of III class, as he was having excessive vomiting. The child was taken immediately to the Hospital where he admitted that he had taken ice-cream in lunch break at 11:30 am. Most likely he was suffering from food poisoning due to
1. Salmonella
2. Staph aureus
3. Shigella
4. Vibrio cholera

Correct answer: 2. Staph aureus